Calymmatobacterium granulomatosis causes ?
1. Lymphogranuloma venerum
2. Granuloma venerum
3. Syphilis
4. None

Correct answer: 2. Granuloma venerum

Explanation: Ans. is 'b' i.e., Granuloma venerum Granuloma inguinale or Granuloma venerum or Donovanosis Caused by Calymmatobecterium granulomatis, a gram negative intracellular bacteria. IP is 1- 4 weeks. Begins as one or more subcutaneous nodules that erode through skin to produce ulcer. Ulcer has following characterstics. Painless Bleeding withred granulation tissue Indurated Subcutaneous granulomas of inguinal region in Donovenosis look like enlarged lymph nodes but these are not enlarged lymph nodes. Therefore, these are known as Pseudobubos. Sites of the lesions are genitalia (90%), inguinal (10%), and anal regions. Complications are pseudoelephentiasis, phimosis, paraphymosis. Diagnosis Preferred method is demonstration of typical intracellular Donavan Bodies within large mononuclear cells visualised in smear prepared from lesion or biopsy specimen. It shows safety pin appearance. Treatment Azithromycin is the DOC. Alternatives are doxycycline (2nd choice) and chloremphenicol. Streptomycin, once used, is not used now. Lymphogranuloma venerum (LGV) is caused by - Chlamydia trachomatic Granuloma venerum (Donovanosis) is caused by --> Calymmatobacterium granulomatosis